In brain death which of the organs cannot be transplanted:
1. Brain
2. Heart
3. Liver
4. Kidney

Correct answer: 1. Brain

Explanation: Ans. Brain